HLA-B* 1502 is a genetic marker for -
1. Systemic lupus erythematosus
2. Polyarteritis nodosa
3. Steven Johnson syndrome
4. Seronegative spondy-arthritis syndrome

Correct answer: 3. Steven Johnson syndrome

Explanation: Ans. is 'c' i.e., Steven Johnson syndrome o Individuals who have HLA-B* 1502 are more likely to experience a severe disorder called Stevens-Johnson syndrome in response to carbamazepine.